Non- essential amino acid
1. Valine
2. Leucine
3. Tryptophan
4. Serine

Correct answer: 4. Serine